Which hormone is secreted from stomach that control intake of food
1. Orexin
2. Insulin like growth hormone
3. Cholecystokinin
4. Ghrelin

Correct answer: 4. Ghrelin

Explanation: Ghrelin inhibits the satiety centre and is released from stomach and hypothalamus. It also stimulates release of Growth hormone.